Which of the following virus has negative sens RNA?
1. Rabies
2. Reovirus
3. Coronavirus
4. Calci

Correct answer: 1. Rabies

Explanation: Ans. is 'a' i.e., Rabies Types of RNA viruses There are three types of RNA viruses :? 1. Positive sens --> Virus RNA can immediately be translated by host's ribosomes into protein. Positive RNA _ > Protein Translation 2. Negative sens ---> Virus RNA is not able to begin translation immediately. Negative strand RNA first transcribed into positive strand RNA by viral RNA dependent RNA polymerase. Negative RNA__________________ (+)ve RNA__________ > Proteins Viral RNA dependent Translation RNA polymerase 3. Retroviruses They have reverse transcriptase which causes transcription to occur in reverse fashion i.e. synthesis of DNA from RNA (normally in transcription, RNA is synthesized from DNA). This DNA is transcripted into RNA.